Most widely used spring-loaded surveyor is:
1. Ney surveyor
2. Jelenko surveyor
3. WillIams surveyor
4. None of the above

Correct answer: 2. Jelenko surveyor

Explanation: The most widely used surveyors are the Ney and the Jelenko.
Both of these are precision made instruments.
They differ principally in that the Jelenko arm swivels, whereas the Ney arm is fixed.